For diagnosing which of the following infection is Whiff test done?
1. Bacterial vaginosis
2. Vaginal Candidiasis
3. Syphilis
4. Genital tuberculosis

Correct answer: 1. Bacterial vaginosis

Explanation: The whiff test, is performed by adding a small amount of potassium hydroxide to a microscopic slide containing the vaginal discharge. A characteristic fishy odor is considered a positive whiff test and is suggestive of bacterial vaginosis. The presence of clue cells on wet mount is similar to the whiff test. Diagnosis of a yeast infection is done either microscopic examination or culturing. Serological testing is the most frequently used approach in the laboratory diagnosis of syphilis. Histopathological and mycobacteriological examinations have limited utility in the diagnosis of genital tuberculosis.